Scabies is caused by?
1. Mite
2. Tic
3. Virus
4. Fungus

Correct answer: 1. Mite

Explanation: Ans. is 'a' i.e., Mite * Scabies is an intensly pruritic skin infestation caused by Sarcoptes scabiei, an acarus (mite). Scabies usually affects children but can occur at any age. More common in low socioeconomic strata as overcrowding and poor hygiene facilitate transmission. The most important means of transmission is via direct contact with an infected individual. Scabes is a water washed disease which occurs due to inadequate use of water or improper hygiene.